Laryngocele arises from which of the following?
1. True cords
2. Subglottis
3. Saccule of the ventricle
4. Anterior commissure

Correct answer: 3. Saccule of the ventricle

Explanation: A laryngocele is defined as an abnormal dilation or herniation of the saccule of the larynx. Secondary infection of a laryngocele is termed a laryngopyocele. Laryngoceles can be classified into three types: internal, external, and combined. A laryngocele is defined as internal if the dilation lies within the limits of the thyroid cartilage. If the laryngocele extends beyond the thyroid cartilage and protrudes through the thyrohyoid membrane producing a lateral neck mass, it is considered external.